Association of sexual precocity, multiple cystic bone lesions and endocrinopathies are seen in
1. McCune-Albright's syndrome
2. Granulosa cell tumor
3. Androblastoma
4. Hepatoblastoma

Correct answer: 1. McCune-Albright's syndrome

Explanation: mc cube Albright syndrome characterized by recurrent ovarian cyst, cutaneous, skeletal & endocrine abnormalities. Figure : Cafe-au-lait skin pigmentation. (a) Skin lesions in a newborn demonstrating the characteristic association with the midline of the body, and distribution reflecting patterns of embryonic cell migration (developmental lines of Blaschko). (b) A typical lesion on the chest, face, and arm demostrating the irregular "coast of Maine" borders, relationship with the midline of the body, and distribution following developmental lines of Blaschko. (c). Typical lesions frequently found on the nape of the neck and crease of the buttocks Reference: Ghai essential of pediatrics, eighth edition, p.no:532.